Recurrent abortion in 1st trimester is most often due to:
1. Chromosomal abnormalities
2. Uterine anomaly
3. Hormonal disturbance
4. Infection

Correct answer: 1. Chromosomal abnormalities

Explanation: Most common cause of recurrent abortions:
1st trimester

Genetic factor/defective germplasm.
Most common type of chromosomal abnormality is balanced translocation.

2nd trimester 

Cervical incompetence